Regarding phenytoin all are true except
1. Potent microsomal enzyme inducer
2. Highly protein bound
3. At lower concentration it follows zero order kinetics
4. With increasing dose, the T 1/2 increases

Correct answer: 3. At lower concentration it follows zero order kinetics

Explanation: At lower concentration it follows zero order kinetics A child with respiratory infection and membrane over peritonsillar area is suspected of having Diptheria. Both Blood Tellurite media & Loeffler serum slope can be used for culture but Diptheria is one emergency so the media in which it can be cultured quickly is used (Loeffler serum slope). Loeffler serum yield colony in 6-8 hrs Blood Tellurite yield colony in --3 36-48 hrs